Half life of tritium is -
1. 10.2 years
2. 12.3 years
3. 15.5 years
4. 20.7 years

Correct answer: 2. 12.3 years

Explanation: Ans is 'b' i.e. 12.3 years * Tritium (hydrogen-3) is a radioactive isotope of hydrogen. The nucleus of tritium (sometimes called a triton) contains one proton and two neutrons.* Whereas the nucleus of protium contains one proton and no neutrons.* Tritium has a half-life of 12.3 years.* Tritium is used as a radioactive tracer, in radioluminescent light sources for watches and instruments, and, along with deuterium, as a fuel for nuclear fusion reactions with applications in energy generation and weapons.Half life of some important radioisotopes* Phosphorus (P-32) - 14.3 days* Strontium (Sr) - 28 days* Yttrium (Y-90) - 2.54 days* Radium (Ra-226) - 1622 years* Iodine (1-131) - 8 days* Iridium (Ir-192) - 74.5 days* Cobalt (Co-60) - 5.2 years* Cesium (Cs-137) - 30 years* Technitium (Tc-99) - 6 hours